Characteristic radiological finding in sarcoidosis
1. Parenchymal disease
2. Bilateral hilar lymphadenopathy
3. Unilateral hilar lymphadenopathy
4. Miliary shadow

Correct answer: 2. Bilateral hilar lymphadenopathy